Test used for diagnosis of HIV infection during window period -
1. p-24 antigen
2. p-18 antigen
3. gp-120 antigen
4. gp-41 antigen

Correct answer: 1. p-24 antigen

Explanation: Ans. is 'a' i.e., p-24 antigen * P-24 antigen is the earliest virus marker to appear in blood and is the one tested for.* It may be detectable in blood after about 2 weeks.Laboratory diagnosis of HIV infection* Laboratory diagnosis is made by:A) Antibody detection# It is the most common method used for diagnosis of HIV infection.# ELISA is the most sensitive test and therefore is the serening test of choice.# Western blot is the most specific (Confirmatory) test and therefore is the 4gold standard* for diagnosis,# Antibodies test usually become positive 22 days after the infection.B) Detection of HIV nucleic acid or antigen# p24 antigen detection by ELISA can be done 16 days after infection (earlier than antibody detection).# Nucleic acid detection tests are the earliest to become positive (12 days after infection). Most commonly used test is reverse transcriptase PCR, (RT-PCR). Other methods used are DNA-PCR, RNA-PCR, RNA- bDNA (branched DNA), and RNA-NASBA (nuclei acid sequenced based assay).C) Virus isolation# Co-cultivation of the patient's lymphocyte with uninfected lymphocytes in the presence of IL-2# Not suitable as a routine diagnostic procedure.In infected individual HIV can be isolated from :* Blood* Semen* Saliva* Urine* Lymphocytes* Cervical secretions* Tears* Breast milk